Felty's syndrome is associated with which of the following:
1. Osteoarthritis
2. Rheumatoid arthritis
3. Ankylosing spondylitis
4. Psoriatic arthritis

Correct answer: 2. Rheumatoid arthritis

Explanation: Ans. B: Rheumatoid Arthritis